Snellen's chart is used to test:
1. Vision
2. Refraction
3. Presbyopia
4. Colour blindness

Correct answer: 1. Vision

Explanation: Ans. Vision